Which tumour is not seen in the anterior mediastinum -
1. Teratoma
2. Thymic tumours
3. Thyroid tumours
4. Neurofibroma

Correct answer: 4. Neurofibroma

Explanation: Ans. is `d' i.e., Neurofibroma Mediastinal Tumors and Other Masses Superior Mediastinum Anterior Mediastinum Posterior Mediastinum Middle Mediastinum Lymphoma Thymoma Neurogenic tumors Bronchogenic cyst Thymoma Teratoma Lymphoma Pericardial cyst Thyroid lesions Lymphoma Gastroenteric hernia Lymphoma Metastatic carcinoma Thyroid lesions Parathyroid tumors Parathyroid tumors